Most common cardiac anomaly in Turner's syndrome is?
1. Coarctation of aorta
2. Bicuspid aortic valve
3. Ventricular septal defect
4. Atrial septal defect

Correct answer: 2. Bicuspid aortic valve

Explanation: b. Bicuspid aortic valve(Ref: Nelson's 20/e p 2189-2191, Ghai 8/e p 413-414)Most common heart defects in Turner syndrome are bicuspid aortic valves, coarctation of aorta and aortic stenosis.